A 10-yr old boy was admitted for surgery of cleft lip. Suddenly he had acute pain in abdomen. On examination, he had Xanthomas. On investigation, we found milky plasma. Which lipoprotein is increased?
1. VLDL Remnant
2. Chylomicron
3. Triglycerides
4. Cholesterol

Correct answer: 2. Chylomicron

Explanation: Milky plasma means Chylomicrons are increased. Chylomicrons contains TGs. But TG is a lipid and chylomicron is a lipoprotein (question is asking lipoprotein). This is a picture of Type I Hyperlipoproteinemia, which is due to the defect in Lipoprotein Lipase enzyme. First test tube:Creamy layer on the top after centrifugation. Second test tube:Normal serum on the top after centrifugation. Additional information: Type Defect Lipoprotein increased TGs cholesterol Name I Lipoprotein lipase or Apo C-II Chylomicron || VLDL || || Normal Familial hyperchylomicronemia IIa LDL-receptor or Apo 8100 LDL || Normal || Familial hypercholesterolemia IIb Unknown VLDL| LDL| | | Familial combined Hyperlipoproteinemia III Apo E Chylomicron remnant || VLDL remnant | || || Dysbeta-lipoproteinemia or Broad Beta disease